In which of the following conditions is the formation of a calcium-containing kidney stone NOT likely?
1. Parathyroid adenoma
2. Multiple myeloma
3. Sarcoidosis
4. Lesch-Nyhan syndrome

Correct answer: 4. Lesch-Nyhan syndrome

Explanation: Lesch-Nyhan syndrome is characterized by inherited overproduction of uric acid due to deficiency of an enzyme in the uric acid synthetic pathway. Hyperuricemia causes recurrent uric acid nephrolithiasis. Some of the many causes of hypercalcemia are enumerated as follows: (All of these conditions may cause calcium nephrolithiasis) Primary hyperparathyroidism Metastatic bone diseases, Vitamin D intoxications Prolonged immobilization Milk-alkali syndrome Ref: Rodwell V.W. (2011). Chapter 33. Metabolism of Purine & Pyrimidine Nucleotides. In D.A. Bender, K.M. Botham, P.A. Weil, P.J. Kennelly, R.K. Murray, V.W. Rodwell (Eds), Harper's Illustrated Biochemistry, 29e.